Most common cause of leukocoria in newborn is
1. Congenital cataract
2. Toxocara infection
3. Retinoblastoma
4. CMV infection

Correct answer: 1. Congenital cataract